who gave the stage of insustry versus inferiority
1. erikson
2. lorenz
3. freud
4. bleuler

Correct answer: 1. erikson

Explanation: ERIC ERIKSON ERIC ERIKSON gave the psychosocail stages of development There are 8 psychosocial stages A person has to succesfully pass one stage to move to the next stage If he gets arrested in one stage he may develop some disorders Ref. kaplon and sadock, synopsis of psychiatry, 11 th edition, pf no. 485